A man cannot digest carbohydrate. The enzyme deficient is
1. Lipase
2. Amylase
3. PepsifiBY
4. Trypsin

Correct answer: 2. Amylase

Explanation: Amylase: The Importance of Carbohydrates Carbohydrates are one of the three major food groups needed for proper nutrition. Amylase is the digestive enzyme needed to digest carbohydrates.50-60% of carbohydrates are digested by amylases. Ref: guyton and hall textbook of medical physiology 12 edition page number:426,427,428